Column chromatography using phenyl Sepharose beads separates proteins based on the
1. Affinity to ligand
2. Charge
3. Hydrophobicity
4. Stokes' radius

Correct answer: 3. Hydrophobicity

Explanation: Hydrophobic interaction chromatography separates proteins based on their tendency to associate with a stationary phase matrix coated with hydrophobic groups(eg.phenyl Sepharose)